A 5 yr old male child presented with H/O recurrent infections. O/E the child has rashes as shown below. Routine blood investigation reveal patient has low platelets. Which of the following diagnosis is possible?
1. Job syndrome
2. Wiskott Aldrich syndrome
3. Measles
4. Henoch Schonlein purpura

Correct answer: 2. Wiskott Aldrich syndrome

Explanation: Wiskott Aldrich syndrome Etiopathogenesis: X linked recessive disorder Defect in WASP gene (Chr Xp11) Clinical: Characterized by recurrent infections, eczema like rash & thrombocytopenia Prolonged bleeding from circumcision site Bloody diarrhea Streptococcus pneumoniae & other bacteria having polysaccharide capsules cause otitis media, pneumonia, meningitis & sepsis Investigation findings: Thrombocytopenia with small sized platelets IgM: low IgE & IgA: elevated